Subacute Sclerosing Pan Encepahalitis (SSPE) is a late complication of:
1. Measles
2. Mumps
3. Rubella
4. Chicken pox

Correct answer: 1. Measles

Explanation: Ans. (a) MeaslesMEASLES* Caused by RNA paramyxovirus* I.P.: 10-14 days.* Pathognomonic feature: Koplik's spot (on Buccal mucosa opposite 2nd molar)* Most common complication of measles in young children: Otitis Media* Late/rare complication of measles: SSPE.Also Know* Late complication of mumps: Orchitis* Most common late complication of chicken pox: Shingles* Complication of rubella infection in pregnancy: Congenital Rubella Syndrome# Triad of CRS Sensorineural deafness Congenital heart defect (PDA most commonly) Cataract